Codex alimentarius is related to -
1. Water purity
2. Milk purity
3. Air polution
4. Food stardardization

Correct answer: 4. Food stardardization

Explanation: Food standards are done by CODE ALIMENTARIUS, PFA STANDARDS, THE AGMARK STANDARDS, BUREAU OF INDIA STANDARDS. REF. PARK'S TEXTBOOK OF PREVENTIVE AND SOCIAL MEDICAL 21ST EDITION. PAGE NO - 610)